Following are causes of unconjugated hyperbilirubinemia, except:
1. Hemolytic anemia
2. Large hematoma
3. Rotor syndrome
4. Megaloblastic anemia

Correct answer: 3. Rotor syndrome

Explanation: Answer is C (Rotor syndrome) Rotor's syndrome is an Autosomal recessive inherited disorder characterized by a deject in biliary excretion leading to conjugated hyperbilirubinemia: Indirect hyperbilirubinemia Direct hyperbilirubinemia A. Hemolytic disorders A. Inherited conditions 1. Inherited 1. Dubin-Johnson syndrome a. Sperocyteosis, elliptocytosis 2. Rotor's syndrome Glucose-6-phosphate dehydrogenase and pyruvate kinase deficiencies b. Sickle cell anemia 2. Acquired _ a. Microangiopathic hemolytic anemias b. Paraoxysmal nocturnal hemoglobinuria c. Immune hemolysis B. Ineffective erythropoesis 1. Cobalamin, folate, thalassemia, and severe iron deficiencies C. Drugs 1. Rifampicin, probenbecid, ribavirin D. Inherited conditions 1. Crigler-Najjar types I and II 2. Glibe's syndrome